Diagnosis of Hodgkin's disease is confirmed by ?
1. CT scan
2. Bone marrow biopsy
3. Lymph node biopsy
4. Lymphangiography

Correct answer: 3. Lymph node biopsy

Explanation: Ans. is 'c' i.e., Lymph node biopsy